Uveal effusion syndrome may be associated with all of the following except:
1. Myopia
2. Ciliochoroidal detachment
3. Structural defect in Sclera
4. Nanophthalmos

Correct answer: 1. Myopia

Explanation: Ans. Myopia